An 18 year old female patient reports for her routine orthodontic appointment. 1st premolars from all quadrants had been extracted at the beginning of treatment. Her current status reveals 3 mm of space between the canines and 2nd premolars in all quadrants. Class II elastics were initiated to close these spaces. The type of anchorage provided by the elastics is known as :
1. Intramaxillary anchorage
2. Baker’s anchorage
3. Moyer’s anchorage
4. Absolute anchorage

Correct answer: 2. Baker’s anchorage

Explanation: In 1893, Henry A. Baker introduced intermaxillary rubber bands to correct protrusions. His method came to be known as “Baker anchorage.” Class II elastic acts to correct a Class II relationship by providing a retraction force to the upper anterior teeth and a simultaneous protraction force to the lower molars.